What is the treatment of choice in severe flail chest?
1. IPPV
2. Strapping
3. Wiring
4. Nasal Oxygen

Correct answer: 1. IPPV